Late expanding phase of demographic cycle is characterized by?
1. Birth rate high, Death rate falls
2. Decrease in both birth & death rate
3. Birth rate lower than death rate
4. Both birth rate and death rate are low

Correct answer: 2. Decrease in both birth & death rate

Explanation: ANSWER: (B) Decrease in both birth & death rateREF: Park 22nd ed page 441APPENDIX-47 below for "DEMOGRAPHIC CYCLE"Repeat Community Medicine 2013 Session 1 APPENDIX - 47Demographic Cycle: High stationary stageEarly expanding stageLate expanding stageLow stationary stageDecliningBirth rate highBirth rate high (remains unchanged)Birth rate begins to fallBirth rate lowBirth rate lower than death rateDeath rate highDeath rate fallingDeath rate falling (dedines further)Death rate low Population growth slowPopulationincreasingPopulation increasing, but less rapidlyPopulation stable (Total Fertility Rate<2.5)Population growth negative (sub-replacement fertility <2.1)India till 1920.(pre-industrial society)Afghanistan, Palestinian, Bhutan, Laos, Sub-Saharan Africa (except south Africa)(developing countries) India, south Africa, Asia (except china)(Industrialized nations) Europe,USA, Canada, China, Singapore, Australia, New-Zealand , Brazil, South Korea, Turkey, MauritiusGermany, Hungary, RussiaPark has wrongly placed china and Singapore in late expanding. They are now low stationary (updates from Wikipedia)Theoretically, when the TFR = 2, each pair of parents just replaces itself. Actually it takes a TFR of 2.1 or 2.2 to replace each generation -- this number is called the replacement rate -- because some children will die before they grow up to have their own two children.